Floating teeth is seen in:
1. Hyperparathyroidism
2. Hypoparathyroidism
3. Rickets
4. Scurvy

Correct answer: 1. Hyperparathyroidism

Explanation: Ans. Hyperparathyroidism